MRI is not better than CT for detection of :
1. Ligament Injury
2. Soft tissue tumors
3. Meningeal pathology
4. Calcified lesions

Correct answer: 4. Calcified lesions

Explanation: D i.e. Calcified lesions